Diverticulum is seen in which type of choledocal Cyst
1. Type 1
2. Type 2
3. Type 3
4. Type 4

Correct answer: 2. Type 2

Explanation: Type-2  - An abnormal pouch or Sac (diverticulum) opening from main duct.